Death rates of two countries are best compared by -
1. Crude death rate
2. Proportional crude death rate
3. Standardized mortality rate
4. Age specific death rate

Correct answer: 3. Standardized mortality rate

Explanation: .standardised mortality ratio is the ratio of total number of deaths that occur in the study group to the number of deaths that would have been expected to occur if that study group had experienced the death rates of a standardised population.it gives a measure of the likely excess risk ort mortality due to the occupation.it is used to compare the death rates of two countries. ref:park's textbook,ed 22,pg no 57